Which of the following is false about scapula?
1. Root of spine is at T3
2. Inferior angle is at T7
3. Medial border indicates horizontal fissure
4. Lateral angle bears glenoid cavity

Correct answer: 3. Medial border indicates horizontal fissure

Explanation: The medial border is thin.it extends from the superior angle to the inferior angle. Reference BD chaurasia pageno : 9 , 6th edition.